A 60 year old man presents in OPD with a history of opium addiction for the last 20 yrs. He has given up opium from 2 days. Which of the following is a withdrawal symptom which he would suffer?
1. Rhinorrhea
2. Drowsiness
3. Constricted pupil
4. Fall in blood pressure

Correct answer: 1. Rhinorrhea

Explanation: Opioid withdrawal reactions are very uncomfortable but are not life threatening. Symptoms usually start within 12 hours of last heroin usage and within 30 hours of last methadone exposure. Early symptoms of withdrawal include: ? Agitation ? Anxiety ? Muscle aches ? Increased tearing ? Insomnia ? Runny nose ? Sweating ? Yawning Late symptoms of withdrawal include: ? Abdominal cramping ? Diarrhea ? Dilated pupils ? Goosebumps ? Nausea ? Vomiting Ref: Harrison's Principles of Internal Medicine, 15th Edition, Page 2569 ; Essentials of Forensic Medicine and Toxicology By Dr K S Narayan Reddy, 27th Edition, Page 515